The complications of shoulder presentations are all of the following except
1. Fetal death
2. Uterine rupture
3. Obstructed labour
4. Shoulder dystocia

Correct answer: 4. Shoulder dystocia

Explanation: Complications of shoulder presentation Cord prolapse Tonic contraction of uterus Obstructed labor Rupture of uterus